A person has lost his hand at work in a factory and is not able to wear his clothes
1. Disease
2. Impairement
3. Disability
4. Handicap

Correct answer: 3. Disability